In TB, immunity is provided by:
1. CD4+ cells
2. CD8+ cells
3. IgG
4. IgM

Correct answer: 1. CD4+ cells

Explanation: Activated CD4+ helper T cell is the speciﬁc immune mechanism eﬀective in TB.
It is a ‘cell-mediated' type of immunity (since it is intracellular).